Cold abscess formation is due to
1. Presence of acute inflammation
2. Formation of caseous pus with signs of acute inflammation
3. Formation of caseous pus without signs of acute inflammation
4. Infected cyst

Correct answer: 3. Formation of caseous pus without signs of acute inflammation